In venturi mask maximum 02 concentration attained is :
1. 90%
2. 100%
3. 60%
4. 80%

Correct answer: 3. 60%

Explanation: C i.e. 60% Equipment Maximum Oxygen Concentration Delivered Nasal Canula 44%Q Venturi mask/Oxygen mask 60%Q Ventilators 100% 0